Nasopharyngeal angiofibroma is most commonly seen in
1. Elderly males
2. Females
3. Young males
4. Infants

Correct answer: 3. Young males

Explanation: Ans. (c) Young malesRef: Dhingra's ENT 5th ed.l 261"Nasopharyngeal angiofibroma is seen almost exclusively in ADOLESCENT males in the age group of 10-20 years."ABOUT NASOPHARYNGEAL ANGIOFIBROMA* It is a vascular tumor with lots of fibrous tissue without muscular coat. Hence it causes severe bleeding because of inability to contract.* Most common benign tumour of nasopharynx.* Arises from the posterior part of nasal cavity close to superior margin of sphenopalatine foramen.* Frog face deformity- if tumor Extends to orbit and causes proptosis* Antral/Holman-Millar sign -- Anterior bowing of posterior wall of maxillary sinus is pathognomonic.* Investigation of choice is C.E.C.T, scan* Treatment of choice is surgical excision.